Streptococcus agalactiae
1. Has capsule as its virulence factor
2. Causes aseptic meningitis in neonates
3. Belongs to Lancefield group C
4. Produces alpha hemolysis on blood agar

Correct answer: 1. Has capsule as its virulence factor